Ram Devi presented with generalized edema sweating and flushing tachycardia and fever after bee sting. This is -
1. T cell mediated cytotoxicity
2. IgE mediated reaction
3. IgG mediated reaction
4. IgA mediated hypersensitivity reaction

Correct answer: 2. IgE mediated reaction

Explanation: Ans. is 'b' i.e., IgE mediated reaction o The symptoms of the patient are d/t hypersensitivity type I reaction Type I is mediated by IgE and it flairs up within minutes. o There are typical features of anaphylaxis (systemic Type I hypersensitivity). Clinical manifestations of anaphylaxis o Flushing and tachycardia are usually the first and are invariant symptoms of anaphylaxis. o Urticaria (pruritis) o Angiodema o Respiratory distress and wheezing due to bronchoconstriction. o Confusion and alteration of mental status can occur.